In a survey, many children are examined and were found to have urogenital abnormalities. Which congenital anomaly is associated with an increased risk of bladder carcinoma ?
1. Medullary sponge kidney
2. Double ureter
3. Unilateral renal agensis
4. Bladder exstrophy

Correct answer: 4. Bladder exstrophy

Explanation: Congenital anomalies associated with an increased risk of bladder cancer are: patent urachus exstrophy bladder Both increase the risk for adenocarcinoma.